Most common type of seizure in neonates?
1. Tonic
2. Clonic
3. Subtle
4. Myoclonic

Correct answer: 3. Subtle